In multibicillary leprosy, the follow up examination after adequate Rx should be done yearly for
1. 3 years
2. 5 yrs
3. 10 years
4. 2 years

Correct answer: 2. 5 yrs